Best method to group an old blood stain is
1. Benzidine test
2. Spectroscopy
3. Absorption elusion
4. None of the above

Correct answer: 3. Absorption elusion

Explanation: Absorption elution method for blood grouping. Others for detecting presence of blood . Ref : Krishnan vij Textbook of Forensic medicine and Toxicology 5th edtion ; pg no - 67